The ketolide which retain activity against streptococcus pneumoniae that are resistant to macrolide is:
1. Telithromycin
2. Quinupristin
3. Lincomycin
4. Dalfopristin

Correct answer: 1. Telithromycin

Explanation: Telithromycin is useful in the setting of streptococcal pneumonia that is resistant to macrolide Ref: Harrisons, Edition-18, Page : 1138.